A person having irresistible desire to do crime is
1. Fugue
2. Amnesia
3. Abreaction
4. Psychopath

Correct answer: 4. Psychopath

Explanation: Psychopath: psychopath is a person who is having irresistible desire to do crimes. He behaves in an anti social manner. He is otherwise called a sociopath. He can plan and implement his antisocial acts including murders in an efficient way. Punishment and advice have no effect on him. Ref: FORENSIC MEDICINE AND TOXICOLOGY Dr PC IGNATIUS THIRD EDITION PAGE 361